Lifespan of RBCs in premature neonate
1. 120 days
2. 60 days
3. 90 days
4. 40 days

Correct answer: 4. 40 days

Explanation: Adults - 120 days.
Term infant - 60 - 90 days.
Premature neonate - 35 - 50 days.